Clostridium tetani is -
1. Gram positive bacilli
2. Gram negative bacilli
3. Gram positive cocci
4. Gram negative cocci

Correct answer: 1. Gram positive bacilli